Dellen is:
1. Localized thinning of peripheral cornea
2. Raised lesions in corneo limbal junction
3. Age related macular degeneration
4. Marginal keratitis

Correct answer: 1. Localized thinning of peripheral cornea

Explanation: Ans. Localized thinning of peripheral cornea